Maximum radiation risk is present with:
1. OPG.
2. MRI.
3. CT scan.
4. Ultrasonography.

Correct answer: 3. CT scan.

Explanation: MRI Thermography and ultrasonography (USG) contains no radiation risk because they use non-ionizing radiation.
CT scan is whit maximum radiation risk